Which of the following antiepileptic agent does not act via Na+ channel modulation ?
1. Vigabatrin
2. Phenytoin
3. Valproate
4. Lamotrigine

Correct answer: 1. Vigabatrin